Which of the following attains adult size before birth?
1. Ear Ossicles
2. Maxilla
3. Mastoid Process
4. Parietal bone

Correct answer: 1. Ear Ossicles

Explanation: Ans is 'a' i.e. Ear Ossicles Its an indirect repeat from May 2009 paper."The tympanic cavity and mastoid antrum, auditory ossicles, and structures of the internal ear are all almost fully developed at birth and subsequently alter little. " -Gray's 40/e p623